Submucosal vestibuloplasty as a ridge extension procedure was described by?
1. Trauner
2. Obwegeser
3. Baumer
4. Visor

Correct answer: 2. Obwegeser

Explanation: Self explanatory